In scurvy, all the following radiological signs are seen except -
1. Pelican spur
2. Soap bubble appearance
3. Zone of demarcation near epiphysis
4. Frenkel's line

Correct answer: 2. Soap bubble appearance

Explanation: Radiological features of scurvy

The typical radiological features occur at the ends of long bones, particularly around the knee, i.e. lower end of the femur and upper end of the tibia. Other common site is the proximal end of the humerus.
Features are -
Ground glass appearance of bone
Pencil thin cortex
White line of Fraenkel → represents well-calcified cartilage in the metaphysis.
Osteoporosis gives ground glass appearance.
Wimburger sign → white ring surrounding the epiphyseal centres of ossification.
Zone of rarefaction under the white line → represents a linear break in the bone, proximal and parallel to white
line and epiphyseal separation may occur along this line.
Lateral part of this rarefaction is seen as a triangular defect.
Pelkan spur or lateral spur → lateral prolongation of the white line.
During the healing phase, subperiosteal hemorrhages becomes calcified and the affected bone assumes a dumbbell or club shape.